pANCA is sensitive and specified for-
1. Post streptococcal glomerulonephritis
2. Idiopathic cresentic glomerulonephritis
3. Diffuse glomerulosclerosis
4. None

Correct answer: 2. Idiopathic cresentic glomerulonephritis